What is the total dose of Vitamin - A given under national immunisation schedule
1. 16 Lac IV
2. 17  Lac IV
3. 18  Lac IV
4. 20  Lac IV

Correct answer: 2. 17  Lac IV

Explanation: 1 lac IU @ 9 months age.
2 lac IU every 6 months therefter, till the age of 5 years.